Schizophrenia is characterized by all the following positive symptoms, except:
1. Hallucinations
2. Delusions
3. Conceptual disorganization
4. Anhedonia

Correct answer: 4. Anhedonia

Explanation: Ans. Anhedonia